Breech presentation is associated with increased incidence of perinatal morbidity. What is the percentage of breech at term?
1. 1
2. 2
3. 3
4. 5

Correct answer: 3. 3

Explanation: Breech presentations occur in 3% to 4% of term pregnancies. It is associated with an increased perinatal morbidity compared with cephalad presentations due to umbilical cord prolapse, trauma, hypoxia, and fetal distress. Breech presentations occur most frequently in the delivery of premature infants, with 25% to 30% of all preterm infants ( Increased perinatal mortality and neonatal morbidity is reported with vaginal breech deliveries, so cesarean delivery is recommended in breech presentations. Ref: VanRooyen M.J., Scott J.A. (2011). Chapter 105. Emergency Delivery. In J.E. Tintinalli, J.S. Stapczynski, D.M. Cline, O.J. Ma, R.K. Cydulka, G.D. Meckler (Eds), Tintinalli's Emergency Medicine: A Comprehensive Study Guide, 7e.